Panitumumab is used for :
1. Multiple Sclerosis
2. Osmotic diarrheoa
3. Ascites
4. Colorectal Carcinoma

Correct answer: 4. Colorectal Carcinoma

Explanation: Panitumumab is a monoclonal antibody against EGFR used in the treatment of colorectal cancer.